A person incapacitated by drug, disease, alcohol, etc lie with the upper portion of body lower than rest of the body causes
1. Traumatic asphyxia
2. Postural asphyxia
3. Sexual asphyxia
4. Burking

Correct answer: 2. Postural asphyxia

Explanation: Postural asphyxia The condition where a person incapacitated by drug, diseases or alcohol, etc lie with the upper portion of the body lower than rest of the body parts. The common example is a drunk who slides out of bed so that his head and adjoining areas hang down from edge and the remaining body is resting at a upper level. Ref: TEXTBOOK OF FORENSIC MEDICINE AND TOXICOLOGY KRISHNAN VIJ FIFTH EDITION PAGE 119